Refractive index of nucleus and Cortex are Respectively
1. 1.42 , 1.30
2. 1.39 , 1.42
3. 1.42 , 1.39
4. 1.30 , 1.42

Correct answer: 3. 1.42 , 1.39

Explanation: Refractive index of nucleus and Cortex are Respectively are 1.42 and 1.39.